double meaning words is called as
1. puns
2. echolalia
3. echopraxia
4. clang assosiation

Correct answer: 1. puns

Explanation: clang, ====subsequent words will have rhyming seen in MANIA puns,=== double meaning words echolalia=== unconscious repletion of words said by the examiner, seen in catatonia Ref. Kaplon and sadock, synopsis of psychiatry, 11 th edition, pg.no 195